Which of the following require energy?
1. Simple diffusion
2. Facilitated diffusion
3. Passive transport
4. Active transport

Correct answer: 4. Active transport

Explanation: Ans: d (Active transport) Ref:Ganong, 22nd ed, p. 32The transport mechanism which requires energy is active transport. The different types of transport mechanisms are given below.Types of transport* Passive transportSimple diffusionFacilitated diffusion* Active transportSimple diffusion - along the cone gradient.No carrier involved.No energy requiredFacilitated diffusion - along the cone gradientCarrier mediatedNo energy required, bi-directionalActive transport - against the cone gradientCarrier mediatedRequire energy, unidirectional